proteins Pyridoxine is involved in ?
1. Carboxylation
2. Trans-sulfuration
3. Oxidation-reduction
4. Transketolation

Correct answer: 2. Trans-sulfuration

Explanation: Ans. is 'b' i.e., Trans-sulfuration Pyridoxine is involved in transamination, deamination, decarboxylation, condensation and trans-sulfuration.